Which AKT drug avoided in pregnancy ?
1. INH
2. Rifampicin
3. Streptomycin
4. Ethambutol

Correct answer: 3. Streptomycin

Explanation: Ans. is 'c' i.e., Steptomycin Streptomycin is an aminoglycoside antibiotic contraindicated in pregnancy due to risk of fetal ototoxicity. Recommended treatment in pregnancy is (2HRZ + 4HR) for 6 months by WHO and British Thoracic Society. Ethambutol can be added during late but not early pregnancy. In India, treatment for pregnant women is 21-IRE + 7 HR (Total 9 months).